A 27 year old man presents with a left testicular tumor with a 10 cm retroperitoneal lymph node mass. Which of the following is the treatment of choice?
1. Radiotherapy
2. Chemotherapy alone
3. Immunotherapy with interferon and interleukin
4. Left high inguinal orchiectomy plus chemotherapy

Correct answer: 4. Left high inguinal orchiectomy plus chemotherapy

Explanation: Patient in the question is presenting with a testicular tumor with retroperitoneal lymph node mass, treatment of choice in such a patient is multi agent chemotherapy followed by excision of persistent masses. A 90% cure rate is seen in stage II patients and a 70% cure rate in stage III patients receiving combination chemotherapy with bleomycin, etoposide, and cisplatin. Ref: Bailey and Love's Short Practice of Surgery, 24th Edition, Pages 1413-4; CURRENT Diagnosis and Treatment: Surgery By Gerard M. Dohey, 13th Edition, Chapter 38.